Which of the following is not seen in scurvy?
1. Epiphyseal dysgenesis
2. White line of frenkel
3. Osteoporosis
4. Pelkan spur is present

Correct answer: 1. Epiphyseal dysgenesis

Explanation: Epiphyseal dysgenesis is Seen in cretinism RADIOLOGICAL FEATURES OF SCURVY